Hepatocytes secrete
1. Glucagon
2. Lysozyme
3. Insulin
4. Plasma proteins.

Correct answer: 4. Plasma proteins.

Explanation: Hepatocytes synthesize several plasma proteins, including Fibrinogen, Prothrombin, and Albumin